Fine touch is transmitted via:
1. The dorsal lemniscal system
2. The anterior spinothalamic tract
3. The lateral spinothalamic tract
4. The cerebellopontine tracts

Correct answer: 1. The dorsal lemniscal system

Explanation: Ans. A. The dorsal lemniscal systema. Lateral spinothalamic tract carries pain and temperature;b. Anterior spinothalamic tract carries crude touch;c. All other sensations are carried by dorsal lemniscal.